The drug most effective in absence seizures is -
1. Phenytoin
2. Ethosuximide
3. Vigabatrin
4. Lamotrigine

Correct answer: 2. Ethosuximide

Explanation: Ans. is 'b' i.e., Ethosuximide o The drug of choice for absence seizure -Valproateo 2nd choice is-EthosuximideDrugs for absence seizureso Sodium valproateo Ethosuximideo Lamotrigineo Trimethadioneo GanaxoloneDrugs of choice for various seizureso Absence seizuresValproateo GTCS (Grand mal)Valproateo Partial seizuresCarbamazepineo Myoclonic seizuresValproateo Atonic (Akinetic) seizuresValproateo Tonic seizuresValproateo Clonic seizuresValproateo Infantile spasmsACTHo Infantile spasms with mberous sclerosisVigabatrino Febrile seizuresDiazepam (per rectal)o Status epilepticusLorazepam(i.v.)o Seizures in eclampsiaMagnesium sulphateo Absence seizuresValproate